Early stage of trauma is characterized by -
1. Catabolism
2. Anabolism
3. Glycogenesis
4. Lipogenesis

Correct answer: 1. Catabolism

Explanation: • Injury Phase (Phase of catabolism):
−− Begins at the time of injury and lasts for 2-5 days
−− Phase of hypermetabolism
−− Stress hormones (cortisol, catecholamines and glucagon) and volume control hormones (renin-angiotensin, aldosterone and ADH) are increased. This leads to proteolysis, lipolysis, hyperglycemia and wound healing despite of negative nitrogen balance.
• Turning Point:
−− Transient period marked physiologically by turning off of the neuroendocrine response and clinically by the appearance of getting well.
• Early Anabolic Phase:
−− Marked by gain in muscular strength or positive nitrogen balance.
• Late Anabolic Phase:
−− Marked by gain in weight and body fat or positive caloric balance